Nitrogen to caloric ratio in total parenteral nutrition is:
1. 1 gm of N2: 150 non protein calories
2. 1 gm of N2: 100 non protein calories
3. 1.25 gm of N2: 100 non protein calories
4. 1.25 gm of K: 150 non protein calories

Correct answer: 1. 1 gm of N2: 150 non protein calories

Explanation: Parenteral formulas usually deliver 75-150 non protein carbohydrate kcal per gram of nitrogen infused, a ratio that maximizes carbohydrate and protein assimilation and minimizes metabolic complications (aminoaciduria, hyperglycemia, and hepatic glycogenesis). Ref: Barbour J.R., Barbour E.F., Herrmann V.M. (2010). Chapter 10. Surgical Metabolism & Nutrition. In G.M. Dohey (Ed), CURRENT Diagnosis & Treatment: Surgery, 13e.